Not true regarding vitreous wick syndrome:
1. More commonly seen in ICCE or ECCE
2. Vitreous comes in anterior chamber
3. Can cause secondary glaucoma
4. Seen in phacomorphic glaucoma

Correct answer: 4. Seen in phacomorphic glaucoma

Explanation: Vitreous wick syndrome is not seen in phacomorphic glaucoma. Vitreous Wick Syndrome Can be seen In: ICCE ECCE PHACOEMULSIFICATION with Posterior Capsular Rent Etiology: Vitreous comes in Anterior Chamber. Clinical Features Cause pupillary peaking. Corneal endothelium damage. Secondary glaucoma. Increase chances of Retinal Detachment. Cystoid macular edema.